The pseudomyxoma peritonei occurs as a complication of the following ovarian tumor:
1. Serous cystadenoma
2. Mucinous carcinoma
3. Dysgerminoma
4. Gonadoblastoma

Correct answer: 2. Mucinous carcinoma

Explanation: Pseudomyxoma peritonei is a clinical term used to describe the rare finding of abundant mucoid or gelatinous material in the pelvis and abdominal cavity, surrounded by thin fibrous capsules. An ovarian mucinous carcinoma with ascites rarely results in this condition, and evidence suggests that ovarian mucinous tumors associated with pseudomyxoma peritonei are almost all metastatic rather than primary. Ref: Hoffman B.L., Schorge J.O., Schaffer J.I., Halvorson L.M., Bradshaw K.D., Cunningham F.G., Calver L.E. (2012). Chapter 35. Epithelial Ovarian Cancer. In B.L. Hoffman, J.O. Schorge, J.I. Schaffer, L.M. Halvorson, K.D. Bradshaw, F.G. Cunningham, L.E. Calver (Eds), Williams Gynecology, 2e.